Inheritance pattern of ABO blood group system and HLA system
1. Pseudodominance
2. Autosomal dominant
3. Autosomal recessive
4. Codominant

Correct answer: 4. Codominant

Explanation: "The genes that determine the A and B phenotypes are found on chromosome 9p and are expressed in a Mendelian codominant manner."